All are TRUE about thin basement membrane defect, EXCEPT:
1. Also known as benign familial hematuria
2. Autosomal dominant inheritance
3. Persistent or recurrent microscopic hematuria
4. Impaired renal function

Correct answer: 4. Impaired renal function

Explanation: Benign familial hematuria is also referred to as thin basement membrane disease. It is inherited as an autosomal dominant trait Characterised by persistent or recurrent microscopic hematuria, a uniformly thinned GBM, and normal renal function. Proteinuria and episodes of gross hematuria are uncommon. The disease is not associated with extrarenal manifestations Ref: Dan Med Bull 2009; 56:105-52